An example for non-dividing/Permanent cell is
1. Hepatocyte
2. Lymphocyte
3. Respiratory epithelium
4. Neuron

Correct answer: 4. Neuron

Explanation: Permanent cells are cells that are incapable of regeneration. These cells are considered to be terminally differentiated and non proliferative in postnatal life. This includes brain cells, neurons, heart cells, skeletal muscle cells, and red blood cells.Although these cells are considered permanent in that they neither reproduce nor transform into other cells, this does not mean that the body can not create new versions of these cells. For instance, structures in the bone marrow produce new red blood cells constantly, while skeletal muscle damage can be repaired by underlying satellite cells which fuse to become a new skeletal muscle cell.nenrons are examples of permanent cells ..these cells cannot divide in the post natal life Ref Robbins 9/e refer the chapter inflammation and repair .